The % formaldehyde in buckely's formocresol is
1. 15%
2. 19%
3. 25%
4. 20%

Correct answer: 2. 19%